At hilum of lung, what enters ?
1. Primary/Principal bronchus
2. Secondary bronchus
3. Tertiary bronchus
4. Bronchiole

Correct answer: 1. Primary/Principal bronchus

Explanation: The root (hilum) of lung is made up of following structures :? Principal bronchus on the left side, and eparterial and hyparterial bronchi on the right side. One pulmonary artery. Two pulmonary veins, superior and inferior. Bronchial arteries, one on the right side and two on the left side. Bronchial veins. Anterior and posterior pulmonary plexuses of nerves. Lymphatics of the lung. Bronchopulmonary lymph nodes. Areolar tissue.